Mycobacterium tuberculosis is diffentiated from other atypical mycobacteria by -
1. Niacin test
2. AFB staining
3. PAS staining
4. None

Correct answer: 1. Niacin test